Basic metabolic unit of bone is:
1. Osteon
2. Osteoblast
3. Osteocyte
4. Osteoclast

Correct answer: 1. Osteon